Concentration of H+ ion is 10-9. What is the pH of the solution?
1. 9
2. 13
3. 4
4. 7

Correct answer: 1. 9

Explanation: Ref: Vasudevan DM, Sreekumari S. Text book of BIOCHEMISTRY, 6th Edn. Page No: 339,Explanation:pH is defined as the negative logarithm of hydrogen ion concentration (moles/L)pH = -Log10 In this problem, H+ Concentration is 1X109 Moles/LpH = -log 10pH = 9Similarly pka = -logl0 Where Ka is dissociation constant. M/L M/LpHpOHInference1 X10 -131 X 10 1113Strong acid1 X 10 -10c1 X 10 -4410Acid1 X 10 -71 X 10 -777Neutral1 X 10 -41 X 10 -10104Alkali1 X 10 -11 X 10 -13131Strong alkali